Root completion of primary tooth occurs
1. 1-1 ½ year after eruption
2. 2-3 year after eruption
3. 6 months after eruption
4. None of the above

Correct answer: 1. 1-1 ½ year after eruption